Neonatal fat necrosis resembles which of the following -
1. Post steroidal panniculitis
2. Erythema induraturn
3. Lipodermatosclerosis
4. Lupus panniculitis

Correct answer: 1. Post steroidal panniculitis

Explanation: Subcutaneous fat necrosis of the newborn is a rare condition resulting in firm, inflamed, skin-coloured to purple nodules (lumps) in the fat, It occurs in the first weeks after birth. It is a form of panniculitis. The nodules may present as discrete lumps on the back, buttocks and limbs, or as large hardened areas Post-steroid panniculitis is a rare complication of systemic corticosteroid therapy, which develops within days or weeks following rapid tapering or cessation of the drug. Most cases are self-limited, with very few cases requiring reintroduction of high doses of corticosteroids.This resembles the neonatal fat necrosis Ref Harrison20th edition pg 1303